Unilateral conjunctivitis is commonly seen in:
1. Blepharitis
2. Vernal conjunctivitis
3. Dacryocystitis
4. Trachoma

Correct answer: 3. Dacryocystitis

Explanation: Ans. Dacryocystitis